"Periglomerular" Fibrosis is considered typical of:
1. Chronic pylonephritis
2. Chronic glomerulonephritis
3. Arterionephrosclerosis
4. Malignant hypertension

Correct answer: 1. Chronic pylonephritis

Explanation: Chronic pylonephritis